Most common intraparenchymal brain tumor to show calcification is?
1. Meningioma
2. Oligodendroglioma
3. Astrocytoma
4. Ependymoma

Correct answer: 2. Oligodendroglioma

Explanation: Most common Intraparenchymal brain tumor to show calcification is Oligodendroglioma(usually frontal lobes and shows chickenwire calcifications)